Diabetic patient with liver cirrhosis and hyperpigmentation, diagnosis is ?
1. Wilson's disease
2. Hemochromatosis
3. Primary sclerosing cholangitis
4. Hepatitis B

Correct answer: 2. Hemochromatosis

Explanation: Ans. is 'b' i.e., Hemochromatosiso Information in the question :?i) Diabetesii) Hyperpigmentationiii) Cirrhosiso Among the given options, only hemochromatosis can cause all three.